Most common fungal infection in febrile neutropenia
1. Aspergillus Niger
2. Candida albicans
3. Aspergillus fumigatus
4. Mucormycosis

Correct answer: 2. Candida albicans

Explanation: Most common fungal infection in Febrile Neutropenia / Immunocompromised state is Candidiasis Most likely the infection is caused by candida albicans which is the most pathogenic strain of candida